Which of the following drug acts by inhibiting the cell wall synthesis:
1. Streptomycin
2. Cycloserine
3. Erythromycin
4. Ciprofloxacin

Correct answer: 2. Cycloserine

Explanation: Cycloserine